Only drug used in pregnancy with syphilis ?
1. Penicillin
2. Clinadmycin
3. Azithromycin
4. Erythromycin

Correct answer: 1. Penicillin

Explanation: Ans. is'a'i.e., Penicillin[Ref: Harrisons 18th/e p. 1j871Management of Syphilis in Pregnancy:Penicillin is the only recommended agent for the treatment of syphilis in pregnancy.If the patient has a documented penicillin allergy, desensitization and penicillin therapy should be undertaken according to the CDC's 2010 guidelines.